Which of the following drugs is recommended for the treatment of severe, multidrug-resistant falciparum malaria(792- 93- KDT 6th) (Lippincott's pharmacology 3rd)
1. Artemisinin
2. Chloroquine
3. Quinine
4. Sodium- stibogluconate

Correct answer: 1. Artemisinin

Explanation: A. i.e. (Artemisinin) (792 -93 - KDT 6th)Artemisinin is the antimalarial drug recommended for like threatening multi resistant falciparum malaria. The parasite is resistant to chloroquine and quinine and would not be affected by primaquine or stibogluconate* CINCHONISM - Tinnitus, dizziness, blurred vision and headache, is characteristic of quinine or quinidine*** Treatment of choice for severe complicated falciparum malaria is - Artesunate**